Which of the following is the medium used for Vibrio cholerae?
1. Thayer - Main medium
2. TCBS medium
3. Scirrow's medium
4. Loeffler's medium

Correct answer: 2. TCBS medium

Explanation: * Theyer--Main media used for N. gonorrhea * Scarrow's medium for C. jejuni * Loeffler's media for Corynebacteria diphtheria Ref : Ananthanarayana textbook of Microbiology 9th edition Pgno : 303